The rubber dam is approximately placed in
1. 3-5 min
2. 5-7 min
3. 10 min
4. 10-12 min

Correct answer: 1. 3-5 min